The commonest site of Pleomorphic adenoma is -
1. Parotid salivary gland
2. Submandibular salivary gland
3. Sublingual gland
4. Submaxillary gland

Correct answer: 1. Parotid salivary gland

Explanation: Ans. is 'a' i.e., Parotid salivary gland o Most common salivary gland tumor-Pleomorphic adenoma (mixed tumor).o Most Common benign Salivary- gland tumor-Pleomorphic adenoma (mixed tumor).o Most Common malignant tumor of salivary gland-Mucoepidermod Carcinomao Most Common site of pleomorphic adenoma-Parotid gland.o Most Common site of mucoepidermoid Carcinoma-Parotid gland.o Most Common site for acinic cell ca-Parotid gland.o Most Common site for adenoid cytic Carcinoma-Minor salivary glands.o Multifocal and bilateral Salivary gland tumor-Wart hi n tumor and acinic cell tumor.o Salivary gland tumor with tendency to invade perineural space-Adenoid cystic carcinoma.